Fondaparinux is an anticoagulant that acts by inhibiting
1. Factor Xa more than factor II
2. Both factor Xa and factor II equally
3. Only factor Xa
4. Only factor II

Correct answer: 3. Only factor Xa

Explanation: Fondaparinux is a synthetic congener of Heparin containing only active pentasaccharide unit and inhibits only Xa. It doesn't inhibit thrombin (factor II a).